Vande Matram Scheme is included in –
1. RCH
2. ICDS
3. IMCI
4. NRHS

Correct answer: 1. RCH